A 40 year old man came to ER with loss of consciousness. Patient's relative gave a history of RTA. Patient is a known alcoholic and hypertensive. NCCT head was normal. GCS is 8. Urgent MRI is performed . Diagnosis is?
1. Cerebral amyloid angiopathy
2. SAH
3. Diffuse axonal injury
4. SDH

Correct answer: 3. Diffuse axonal injury

Explanation: MRI image shows multiple blooming foci noted diffusely involving the bilateral cerebral hemisphere predominantly at gray-white matter junction. Given the clinical history, most probable diagnosis DAI. Blooming artifact is a susceptibility artefact encountered on some MRI sequences in the presence parmagnetic substances that affect the local magnetic milieux. Although it is an artifact, it may be deliberately exploited to improve detection of certain small lesions Cerebral amyloid angiopathy is seen old age .